Breast feeding from either or one breast for less than 15 minutes per day is known as:
1. Non breast fed
2. Token feeding
3. Low partial breast fed
4. All of the above

Correct answer: 2. Token feeding

Explanation: Breast feeding from either or one breast for less than 15 minutes per day, only to console a crying baby is known as token feeding. Ref: National Health Programmes in India, J.Kishore, 10th edition pg: 171